All of the following are markers of melanoma except:-
1. S-100
2. Cytokeratin-20
3. HMB-45
4. Vimentin

Correct answer: 2. Cytokeratin-20

Explanation: Markers of melanoma are S-100, HMB-45, Vimentin.